Only males are affected in:
1. Scheie's syndrome
2. Hunter's syndrome
3. Hurler's syndrome
4. Gaucher's disease

Correct answer: 2. Hunter's syndrome

Explanation: b. Hunter's syndrome(Ref: Nelson's 20/e p 737-743, Ghai 8/e p 661)As Hunter's disease is a X linked recessive, males are mostly affected by it.